Cis atracurium is preferred over atracurium due to advantage of
1. Rapid onset
2. Short duration of action
3. No histamine release
4. Less cardiodepressant

Correct answer: 3. No histamine release

Explanation: Cisatracurium is preferred over atracurium as it does not release histamine. Onset of action is same for both atracurium and cisatracurium. Cis-atracurium has longer duration of action.